Which of the following disease is not transmitted from animals to man
1. German measles
2. Rabies
3. Taenia solium
4. Plague

Correct answer: 1. German measles

Explanation: Ans: a (German measles)Ref: Park, 20th ed. Pg. 139German measles or rubella is an acute respiratory infection of childhood, characterized by low grade fever, lymphadenopathy, and a maculopapular rash. The disease is caused by a RNA virus, and is transmitted directly from person to person by droplets from nose and throat, and droplet nuclei. No animals are involved in its transmission.An infection or infectious disease transmissible under natural conditions from vertebrate animals to man is called a"Zoonosis". eg-Rabies, plague, cysticercosis (Taenia solium), anthrax, brucellosis, salmonellosis, KFD, lassa fever.The term"Zoonoses has been further amplified as follows Anthropozoonoses - infections transmitted to man from vertebrate animals, e.g, rabies, plague, anthrax, hydatid disease. Zooanthroponoses - infections transmitted from man to vertebrate animals, e.g, and human tuberculosis in cattle. Amphixenosies - infections maintained in both man and lower vertebrate animals that may be transmitted in direction, e.g, T. cruzi, and S. japonicum.